Stellate wound is produced with firearm in:
1. Contact shot
2. Close shot
3. Range within 60 cm
4. Distant shot

Correct answer: 1. Contact shot

Explanation: Ans. Contact shot